Chemoprophylaxis in an Englishman visiting chloroquine and mefloquine ersistant malaria region is done with -
1. Primaquine
2. Doxycycline
3. Amodiaquine
4. Hydroxychloroquine

Correct answer: 2. Doxycycline

Explanation: Ans. is 'b' i.e., Doxycycline